Stellate wound may be seen in which of the following bullet entry wounds?
1. Contact wound
2. Close shot
3. Distance shot
4. Two feet distance

Correct answer: 1. Contact wound

Explanation: Stellate wounds may result from contact shots. Ref: Physician's Perspective of Medical Law By Kauffman, 1997, Page 193; Lawyer's Guide to Forensic Medicine By Knight 2nd Edition, Page 119; Forensic Emergency Medicine By Jonathan S. Olshaker, 2nd Edition, Page 56; Greenberg's Text-Atlas of Emergency Medicine By Michael I. Greenberg, Page 947